Virchow method of organ removal is ?
1. Organs removed en masse
2. Organs removed one by one
3. In situ dissection
4. None

Correct answer: 2. Organs removed one by one

Explanation: Ans. is 'b' i.e., Organs removed one by one Methods of removal of organs Virchow's technique - organs are removed one by one. Cranial cavity is exposed first, followed by thoracic, cervical & abdominal organs. Rokitansky's technique - It involves in situ dissection in part, combined with en block removal. Lettulle's technique - Cervical, thoracic, abdominal & pelvic organs are removed en masse & dissected as organ block.